In context with Filariasis, all are true except:
1. Definitive host is man
2. Worm colonize the lymphatic system
3. Most common causative agent is W. bancrofti
4. Transmitted by Aedes aegypti mosquito

Correct answer: 4. Transmitted by Aedes aegypti mosquito

Explanation: The worms are spread by the bites of infected mosquitoes. 
Three types of worms are known to cause the disease: Wuchereria bancrofti, Brugia malayi, and Brugia timori, with Wuchereria bancrofti being the most common. 
These worms damage the lymphatic system. 
Aedes aegypti, the yellow fever mosquito, is a mosquito that can spread dengue fever, chikungunya, Zika fever, Mayaro and yellow fever viruses.